Arkansa's stone is lubricated with light mineral oil to
1. Prevent heat build up
2. Remove metal particles
3. Prevent if from drying up
4. All the above

Correct answer: 4. All the above